Tubercles of Montgomery are present in:
1. Lung
2. Duodenum
3. Liver
4. Breast

Correct answer: 4. Breast

Explanation: Montgomery’s glands or Montgomery Tubercles are the large sebaceous and rudimentary milk glands present in the areola surrounding the nipple of the female breast.